Pseudoarthrosis of Tibia is seen associated with
1. NF-1
2. NF-2
3. VHL
4. STURGE WEBER SYNDROME

Correct answer: 1. NF-1

Explanation: Pseudoarthrosis of the tibia is usually seen associated with NF-1,a false joint between knee and ankle. Sphenoid wing dysplasia is also seen in NF-1. Acoustic Neuromas/Schwannomas are seen with NF-2. Multifocal haemangioblastomas are associated with VHL. Portwine stain,leptomeningeal vascular malformations and Tram Track appearanceare seen with Sturge Weber syndrome.